Howell-Jolly bodies are seen in-
1. Liver disease
2. Postsplenectomy
3. Hemolysis
4. DIC

Correct answer: 2. Postsplenectomy

Explanation: Howell Jolly bodies are purple nuclear remnants ,usually found singly, and are larger than basophilic stippling.They are present in megaloblastic anemia & after splenectomy.Reference :Harsh Mohan Textbook of pathology sixth edition pg no 293.